NICE project is associated with:
1. Female literacy
2. Population control
3. Rural infrastructure
4. Care of elderly

Correct answer: 4. Care of elderly

Explanation: National Institute of Social Defence has launched NICE project (National Initiative on Care for Elderly) in 2000. Ref: National Health Programmes in India, J.Kishore, 10th edition pg: 795